Regarding HIV infection, not true is:
1. p24 is used for early diagnosis
2. Lysis of infected CD4 cells is seen
3. Dendritic cells do not support replication
4. Macrophage is a reservoir for the virus

Correct answer: 3. Dendritic cells do not support replication

Explanation: Ans. is 'c' i.e., Dendritic cells do not support replication(Ref: Ananthanarayan, 9th/e, p. 574, 577 and 8th/e, p. 573; Harrison, 18th/e, p. 1531; 17th/e, p. 1159; Harrison, 16th ed., p. 1095)* Follicular dendritic cells from tonsil can be infected by HIV without the involvement of CD4.* Dendritic cells play an important role in the initiation of HIV infection.* "Complexes of infected CD4+T Cells and dendritic cells provide an optimal microenvironment for virus replication."